Erythroposis starts in fetal liver during ?
1. 2-4 weeks
2. 4-6 weeks
3. 6-8 weeks
4. 8-10 weeks

Correct answer: 3. 6-8 weeks

Explanation: Ans. is 'c' i.e., 6-8 weeks Developmental hematopoiesis occurs in three anatomic stages:? Mesoblastic Hepatic Myeloid Mesoblastic hematopoiesis occurs in extraembryonic structures, principally in the yolk sac, and begins between the 10th and 14th days of gestation. By 6-8 wk of gestation the liver replaces the yolk sac as the primary site of blood cell production, and by 10-12 wk extraembryonic hematopoiesis has essentially ceased. Hepatic hematopoiesis occurs in the liver throughout the remainder of gestation, although production begins to diminish during the second trimester as bone marrow (myeloid) hematopoiesis increases. The liver remains the predominant hematopoietic organ through wk 20-24 of gestation